Takayasu arteritis commonly effects:
1. Coronary arteries
2. Spleenic artery
3. Radial artery
4. Renal arteries

Correct answer: 4. Renal arteries

Explanation: Renal arteries